Karydakis procedure is used for
1. Pilonidal sinus
2. Fistula in ano
3. Coccydynia
4. Haemorrhoids

Correct answer: 1. Pilonidal sinus

Explanation: Surgical treatment of chronic pilonidal diseaseLaying open of all tracks with or without marsupialisation, The excision of all tracks with or without primary closure andThe excision of all tracks and then closure by some other means designed to avoid a midline wound (Limberg procedure, Z-plasty, Karydakis procedure)Bascom's procedure involves an incision lateral to the midline to gain access to the sinus cavity, which is rid of hair and granulation tissue, and excision and closure of the midline pitsRef: Bailey and love 27e pg: 1348